Stages of anaesthesia were established by –
1. Ether
2. N2O
3. Halothane
4. Chloroform

Correct answer: 1. Ether

Explanation: Stages of anaesthesia were described by Guedel for ether.